Which of the following calculi are rare in gallbladder, but common in common bile duct
1. Cholesterol stone
2. Brown stone
3. Black stone
4. None

Correct answer: 2. Brown stone

Explanation: Primary CBD Stone Formed within the biliary tract. Associated with biliary stasis and infection Most commonly seen in Asian population Soft, Friable, light brown stones or sludge in the common duct In Gallbladder mostly cholesterol stones are formed that migrate through cystic duct into CBD known as Secondary CBD stone Ref: Sabiston 20th edition Pgno :1494